True statement about bile duct:
1. Drains bile into the second part of the duodenum
2. Can be blocked by cancer in the body of pancreas
3. Joins the main pancreatic duct, which carries hormones
4. Is formed by union of the right and left hepatic duct

Correct answer: 1. Drains bile into the second part of the duodenum

Explanation: CHOICE EXPLANATION & ELIMINATION REASON 1 True statement 2 Blocked by cancer in the head of pancreas 3 Pancreatic duct carries exocrine juice not hormones 4 Formed by common hepatic duct and cystic duct